Radiological findings of scurvy are AJE –
1. Epiphyseal widening
2. Metaphyseal porosis
3. White line
4. Pelkan spur

Correct answer: 1. Epiphyseal widening